Which drug has more analgesic effects than morphine ?
1. Heroin
2. Apomorphine
3. Codeine
4. Pethidine

Correct answer: 1. Heroin